A 3,800 grams male infant is delivered vaginally. A shoulder dystocia was encountered. If a neonatal injury is suspected, what is the likely finding in the infant
1. Arm that is at its side and internally rotated
2. Arm that is fixed and flexed and hypertonic
3. Dislocated elbow
4. Clavicle fracture

Correct answer: 1. Arm that is at its side and internally rotated

Explanation: An Erb palsy is the most common injury of the neonate in a shoulder dystocia. The arm is typically limp and at its side with the arm internally rotated. If the palsy is severe, then the infant may not be able to move its fingers. Eighty percent of the time, brachial plexus injuries will improve with physical therapy. However, if the nerve roots are avulsed rather than simply injured, the neuropathy usually will not resolve.